Best method of skin disinfectant is -
1. Spirit
2. 100% alcohol
3. Tincture iodine
4. Cetrimide

Correct answer: 3. Tincture iodine

Explanation: Iodine in an aqeous and alchoholic solution has been widely used as skin disinfectant. it is actively bactericidal with moderate action against spores REF:Ananthanarayan and Panicker's Textbook ofMicrobiology 8thEdition pg no:36